62 year old patient underwent radical mastectomy 10 years back. She has long standing lymphedema. Now the biopsy shows angiosarcoma. This is known as
1. Stewart treves syndrome
2. Monodors disease
3. Zuskas disease
4. Tietz syndrome

Correct answer: 1. Stewart treves syndrome

Explanation: Long standing lymphedema leading to angiosarcoma is known as Stewart treves syndrome.